Colonscopy performed on a 25 year old woman with eating disorder showed dark brown to black pigmentary deposit in the lining of the large intestine. Histopathology of biopsy revealed pigment laden macrophages within the lamina propria The woman on probing revealed use of laxatives for the 9 months to lose weight. What could be the probable laxative agent that could have caused these findings?
1. Senna
2. Sorbitol
3. Castor oil
4. Bisacodyl

Correct answer: 1. Senna

Explanation: The characteristic features given here are called as melanosis coli. This is characteristically caused by long term use of anthraquinone group of laxatives like Senna and Cascara. These drugs are stimulant laxatives i.e. increase the motility of GIT. Sorbotol is osmotic laxative. Castor ol is stool softner. Bisacodyl is a stimulant laxative.